Normal anion gap is seen in all except
1. Ureterosigmoidoscopy
2. Methanol poisoning
3. Renal tubular acidosis
4. Diarrhoea

Correct answer: 2. Methanol poisoning

Explanation: Ans: b) Methanol poisoning (Ref: Harrison 17th edition/ Page 291-292)Anion gap is the measure of unmeasured anions.AG = Na+-Normally anions = cationsAny increase in anions other than Cl- or HCO3- will cause decrease in Cl- or HCO2 so that total anions is same in quantity. Eg increase in acetate, lactate, methanol, phosphate, albumin will increase AGDecrease in unmeasured cation (Ca++, Mg++ K+) will also have same result - increase AGExample of high anion gap acidosis:Lactic acidosis, Ketoacidosis, Ethylene glycol, Methanol, Salicylates, and Renal failure.Normal anion gap: 10-12 mmol/LNormal anion gap acidosis:Loss of HCO3- from GIT or kidney will result in reciprocal change in - No change in anion gap ( and vice versa)Eg : 1) RTA/ Ureterosigmoidoscpy/CaCl,2) Renal failure with drug induced hyperkalemia3) Cation exchange resins